The minimum amount of normal perfused liver parenchyma to be left intact when a hepatic resection is planned is -
1. 10%
2. 20%
3. 50%
4. 75%

Correct answer: 2. 20%

Explanation: • Up to 70% to 75% of the hepatic volume may be resected with good recovery in patients with relatively normal hepatic parenchyma (without active hepatitis, cirrhosis, or metabolic defects), as long as the remnant liver has adequate portal venous and hepatic arterial inflow, adequate hepatic venous outflow, and adequate biliary drainage.